APGAR score is include all except __________
1. Heart rate
2. Respiratory rate
3. Muscle tone
4. Colour

Correct answer: 2. Respiratory rate

Explanation: Apgar score is an objective method of evaluating the newborn's condition. It is generally performed at 1min and again at 5min after birth. It includes Heart rate, Respiratory effort, Muscle tone, Reflex irritability and Color. Reference : page 126 Ghai Essential Pediatrics 8th edition